Spirometry measures all of the following except:
1. TLC
2. ERV
3. IRV
4. FVC

Correct answer: 1. TLC

Explanation: Ans:A.)TLCSpirometry can measure :- Tidal volume (TV), inspiratory reserve volume (IRV), expiratory reserve volume (ERV), vital capacity (VC), forced vital capacity (FVC), FEVI.Spirometry cannot measure :- Residual volume (RV), functional residual capacity (FRC), total lung capacity (TLC).